The following is true about Nesidioblastosis except ?
1. Presents with hypoglycemic attacks
2. More common in adults than in children
3. Histopathology shows hyperplasia of islet cells
4. Diazoxide is used for treatment

Correct answer: 2. More common in adults than in children

Explanation: Nesidioblastosis is a controversial medical term for hyperinsulinemic hypoglycemiaattributed to excessive insulin production by pancreatic beta cells that have an abnormal microscopic appearance.The abnormal microscopic features of the tissue included the presence of islet cell enlargement, pancreatic islet cell dysplasia, beta cells budding from ductalepithelium, and islets in close proximity to ducts. In recent years, the term has been revived to describe a form of acquired hyperinsulinism with beta cell hyperplasia found in adults, especially after gastrointestinal surgery. Evidence of mechanisms explaining the ability of weight loss surgery to induce modern-day nesidioblastosis has yet to be found; any such mechanisms are of intense interest to diabetes researchers. Differential diagnosis of endogenous hyperinsulinism in adults : Reference: GHAI Essential pediatrics, 8th edition